A 10 years boy presented with Cola coloured urine, oliguria for 3 days, facial puffiness, edema and hypertension. Urine albumin is positive and C3 levels are reduced. BP is 130/80. He had skin infection two weeks back. Which of the following is true about this condition?
1. Renal biopsy is required in all cases
2. C3 levels return to normal in 6-8 weeks
3. Cyclosporine is the treatment of choice
4. Most common age group involved is 1-4 years

Correct answer: 2. C3 levels return to normal in 6-8 weeks

Explanation: The given clinical picture suggests a diagnosis of nephritic syndrome, most probably post-streptococcal glomerulonephritis (PSGN). Poststreptococcal glomerulonephritis (PSGN) is a classic example of the acute nephritic syndrome characterized by the sudden onset of gross hematuria, edema, hypertension, and renal insufficiency. PSGN follows infection of the throat or skin by certain "nephritogenic" strains of group A b-hemolytic streptococci.( Throat serotypes - M1, M4, M25, and some strains of M12 and skin serotype - M49) Poststreptococcal GN usually affects school-age children (5-12 years of age) and is uncommon below 3 years of age. Lab Diagnosis of PSGN: Antistreptolysin O titer is commonly elevated after a pharyngeal infection but rarely increases after streptococcal skin infections. Best single antibody to document cutaneous streptococcal infection is anti deoxyribonuclease (DNase) B level The serum C3 level is significantly reduced in >90% of patients, and returns to normal 6-8 wk after onset. C4 is most often normal. Serum CH50 is commonly depressed A biopsy is rarely indicated when: renal function is severely impaired beyond 7-10 days serum C3 remains depressed beyond 12 weeks Patient with features of a systemic illness Management of PSGN involves: Symptomatic & supportive therapy (treating the acute effects of renal insufficiency and hypertension)